Most Potent Stimulator of Naive T-cell is:
1. Mature dendritic cells
2. Follicular dendritic cells
3. Macrophages
4. B-cell

Correct answer: 1. Mature dendritic cells

Explanation: Mature dendritic cells